The lens contains the oldest cells in –
1. Nucleus
2. Anterior surface of lens
3. Posterior surface of lens
4. Nucleo–cortical junction

Correct answer: 1. Nucleus

Explanation: The nucleus is the central part containing older fibres. Embryonic zone of the nucleus (embryonic nucleus) contains oldest fibres.
The cortex contains the youngest fibres.